Which of the following is not a feature or property of a virus?
1. Heat labile
2. Antibiotic resistant
3. May contain both DNA and RNA
4. Forms extra cellular infectious particle

Correct answer: 3. May contain both DNA and RNA

Explanation: Virus contains either RNA or DNA, not both, it is surrounded by a capsid composed of small protein units called capsomeres. Other specific properties of viruses are : inability to replicate on their own, inability to divide by binarry fission, mitosis or meiosis, lack of genes and enzymes needed for energy production, depend on ribosomes, enzymes and metabolites of host cell for protein and nucleic acid production.